The following carcinoma metastasis to bone is seen in all EXCEPT:
1. Liver
2. Thyroid
3. Prostate
4. Breast

Correct answer: 1. Liver

Explanation: (Liver): Ref: 193-AMETASTATIC BONE DISEASE* The skeleton is one of the commonest site of secondary cancer: in patients over 50years bone metastasis are seen more frequently than all primary malignant bone tumours* The commonest sites for bone metastasis are the vertebrae, pelvis, the proximal half of the femur and the humerus* Spread is usually via the blood stream: occasionally visceral tumours spread directly to adjacent bones (eg. Pelvis or ribs)* The commonest source is carcinoma of the breast; the next is frequency are carcinoma of the prostate kidney, lung, thyroid, bladder and GIT.